A child comes to an emergency room because of an infected dog bite. The wound is found to contain small Gram-negative rods. The most likely cause of infection is
1. E. coli
2. H. influenzae
3. Pasteurella multocida
4. Brucella canis

Correct answer: 3. Pasteurella multocida

Explanation: Pasteurella multocida, a coccobacillary Gram-negative rod, is part of the normal mouth flora of dogs and cats. Consequently, many animal bites become infected with this microorganism. It is susceptible to penicillin, although multiresistant strains have been recovered from pigs and sheep. P. multocida has four different capsular types--designated A, B, D, and E--that correlate with disease production and host predilection; however, serotyping of these isolates is beyond the resources of most laboratories. Reference: Ananthanarayan and Paniker's Textbook of Microbiology Tenth edition